Techniques of delivery of after coming head in breech presentation include all except :
1. Burns-Marshall method
2. Forceps delivery
3. Modified Mauriceau Smellie Viet technique
4. Lovset's maneuver

Correct answer: 4. Lovset's maneuver

Explanation: Methods of delivery of after coming head of breech : Burns-Marshall technique Mauriceau Smellie Viet technique Piper's forceps Ref: Datta Obs 9e pg 360.